A 60-year-old man undergoing an inguinal hernia repair is induced with propofol. Which of the following is most likely to be observed
1. Hypertension
2. Apnea
3. Hyperthermia
4. Prolonged sedation

Correct answer: 2. Apnea

Explanation: Hypotension and apnea are the most common side effects of propofol. Propofol does not cause hyperthermia, indeed, it is the anesthetic of choice in patients at risk for malignant hyperthermia. Propofol is associated with a fast emergence, which is also an advantage of the drug.